Cervical esophagus receives its arterial supply from which artery
1. Inferior thyroid artery
2. Superior thyroid artery
3. Intercostals arteries
4. Bronchial arteries

Correct answer: 1. Inferior thyroid artery

Explanation: The cervical portion is supplied by the inferior thyroid artery. The thoracic portion is supplied by bronchial and esophageal branches of the thoracic aorta. The abdominal portion is supplied by ascending branches of the left phrenic and left gastric arteries. image ref - sciencedirect.com